Which of the following anti-tubercular drug causes a flu-like syndrome?
1. INH
2. Ethambutol
3. Rifabutin
4. Rifampicin

Correct answer: 4. Rifampicin

Explanation: The flu-like syndrome is commonly seen with rifampicin.Ref: KD Tripathi 3rd ed; Page 756